Percentage of renal stones which are radio opaque ?
1. 10%
2. 25%
3. 37%
4. 90%

Correct answer: 4. 90%

Explanation: Ans. is `d' i.e. 90%